All are causes of eosinophilia except:
1. Allergic Rhinitis
2. Trichinosis
3. Corticosteroid therapy
4. Rhematoid arthritis

Correct answer: 3. Corticosteroid therapy

Explanation: Ans: C (Corticosteroid therapy) Ref: Nelson Textbook of Pediatrics, 19th edition. Pg 740.Explanation:Corticosteroid therapy causes eosinopenia.Causes of EosinophiliaAllergic DisordersAllergic rhinitisAsthmaAcute and chronic urticariaHypersensitivity drug reactionsInfectious DiseasesTissue-Invasive Helminth Infections TrichinosisToxocariasisStrongyloidosisAscariasisFiiariasisPneumocystis cariniiToxoplasmosisAmebiasisMalariaBronchopulmonary aspergillosisScabiesMalignant DisordersBrain tumorsHodgkin disease and T-cell lymphomaMyeloproliferative disordersGastrointestinal DisordersInflammatory bowel diseaseEosinophilic gastroenteritisChronic active hepatitisRheumatologic DiseaseRheumatoid arthritisEosinophilic fascitisImmunodeficiency DiseaseHyper-IgE syndromeWiskott-Aldrich syndromeLoftier syndromeEosinophilic leukemiaHypersensitivity pneumoniaMiscellaneousThrombocytopenia with absent radiiVasculitisHistiocytosis with cutaneous involvement